A man is planning to leave Miami (at sea level) and travel to Colorado to climb Mount Wilson (14,500 feet, barometric pressure = 450 mm Hg). Before his trip, he takes acetazolamide. What response would be expected before he makes the trip?
1. Alkalotic blood
2. Normal ventilation
3. Elevated ventilation
4. Normal arterial blood gases

Correct answer: 3. Elevated ventilation

Explanation: Acetazolamide Carbonic Anhydrase inhibitor Forces kidneys to excrete bicarbonate, the base form of CO2. This excretion reacidifies the blood, balancing the effects of the hyperventilation that occurs at altitude in an attempt to get O2. Such reacidification acts as a respiratory stimulant, particularly at night, reducing the periodic breathing pattern common at altitude. This would increase ventilation, resulting in a | pCO2